Commonest cause of cataract
1. Hereditary
2. DM
3. Trauma
4. Age related

Correct answer: 4. Age related

Explanation: D i.e. Age related Radiation cataract is caused by exposure to almost all types of radiation energy such as infrared or heat (in glass-blowers or glass-workers, and iron-workers), irradiation caused by X-rays, gamma-rays or neutrons (in workers in atomic energy plant, survivors of atomic bomb and in patients inadequately protected during treatment for malignant conditions near eye) and sunlight (especially the ultraviolet A and UV-B components). Microwave radiation has shown to cause cataract in animals. But MRI has no radiation exposure. - Cataract may be caused by chloroquine, corticosteroids, copper metabolism error (Wilson's disease), Calcium decrease (hypocalcemia or hypoparathyroidism or parathyroid tetany), galactosemia, hypo glycemia and diabetes mellitusQ. (Mn- CG=Cataract G) Cataract is the most common cause of blindness in India Q. Senile cataract or age related cataract is the commonest type of acquired cataract Q affecting equally persons of either sex usually above the age of 50 years. Overall incidence of acquired cataract is more than congenital.